The dorsal part of the Ventral Mesogastrium forms:
1. Greater Omentum
2. Lesser Omentum
3. Falciform Ligament
4. Lineorenal Ligament

Correct answer: 2. Lesser Omentum

Explanation: The dorsal part of the Ventral Mesogastrium forms the Lesser Omentum. Mesentery of the Foregut and its derivatives: The abdominal part of the foregut possesses both ventral and dorsal mesenteries, which are termed ventral mesogastrium and dorsal mesogastrium. During formation of the ventral mesentery the liver grows rapidly in the ventral mesogastrium such that the liver is completely surrounded by the Ventral Mesogastrium except in the 'Bare area' The developing liver thus divides the ventral mesogastrium into an anterior part, 'the ventral part of ventral mesogastrium' (Falciform ligament; from liver to anterior abdominal wall) and a posterior part or dorsal part of the ventral mesogastrium (the lesser Omentum) between the liver and ventral borders of the stomach and duodenum. Fate of Ventral Mesogastrium Fate of Dorsal Mesogastrium Ventral part of Ventral Mesogastrium Gives rise to Hepatic Ligaments Falciform ligaments Coronary ligaments (superior and Inferior) Triangular Ligaments (Left and Right) Dorsal Part of Ventral Mesogastrium: Lesser Omentum Dorsal part forms the lesser Omentum between the liver and the curvature of the stomach The larger caudal part becomes greatly elongated to form the Greater Omentum. Greater Omentum forms from the caudal part of the dorsal mesogastrium. The smaller cranial part becomes divided into dorsal and ventral parts by the development of spleen within it. The ventral part forms The Dorsal part forms The gastro-splenic ligament The lieno-renal ligament The gastro-phrenic ligament Ref: Vishram Singh 2nd edition Pgno: 80